Tram track appearance on CT scan of head is seen in:
1. Sturge Weber Syndrome
2. Von Hipple Lindau Syndrome
3. Tuberous sclerosis
4. Neurofibroma

Correct answer: 1. Sturge Weber Syndrome

Explanation: A i.e. Sturge Weber syndrome